A 45 year old victim of head Injury from an accident Who is unconscious requires an emergency surgical Intervention. In the absence of any consenting party, the doctor should
1. Not operate at all
2. Obtain consent from the police
3. Operate without consent
4. Obtain consent from the magistrate

Correct answer: 3. Operate without consent

Explanation: No duty to inform arises in an emergency in which the patient is unconscious or otherwise incapable of giving valid consent and harm from failure to treat is imminent. However, an emergency does not give the doctor a license to do whatever he deems advisable for the patient; it supports only limited measures to save patient's life and/or preserve function. Ref - Krishan Vij 5th edition pg: 373